Which of the following is the most common cancer of thyroid
1. Anaplastic carcinoma
2. Follicular carcinoma
3. Papillary carcinoma
4. Medullary carcinoma

Correct answer: 3. Papillary carcinoma

Explanation: Papillary carcinoma is the most common malignancy of thyroid, accounts to 70-80% of all thyroid malignancies. It has the best prognosis of all thyroid cancers. Source : Sabiston 20th edition pg : 900